Minipill containing 75 Yg of desogestrel is used for contraception. Which of the following is its schedule of administration?
1. Taken once a day pill for 3 months 7 days pill free interval
2. Taken once a day pill for 2 months 7 days pill free interval
3. Taken for 21 days with 7 days pill free interval
4. Taken for 28 days with no pill free interval

Correct answer: 4. Taken for 28 days with no pill free interval

Explanation: Park's textbook of preventive and social medicine 23rd edition. *progesterone only pills or mini pills which is given in small doses through out the cycle,the commonly used progestegens are norethisterone and levonorgestrell.